Which cell adhesion molecules (CAM) is calcium mediated?
1. Cadherin
2. NCAM
3. IgSF
4. Fibronectin binding protein

Correct answer: 1. Cadherin

Explanation: Type of CAM Subtypes Distribution Calcium- dependent 1. Cadherins 2. Selectins 3. Integrins - Most cells including epithelia - Migrating cells E.g.: leucocytes - b/w cells & intercellular substance. About 20 types; each attaching to an extracellular molecule. CALCIUM INDEPENDENT: 1. Neural cell adhesion molecule (NCAM) - nerve cells 2. Intercellular adhesion molecule (ICAM) - leucocytes.